The most common bone fractured during birth
1. Clavicle
2. Scapula
3. Radius
4. Humerus

Correct answer: 1. Clavicle

Explanation: A i.e. Clavicle